Implantation normally occurs in -
1. Ampulla
2. Bodyof uterus
3. Cervix
4. Ovaries

Correct answer: 2. Bodyof uterus

Explanation: Ans. is 'b' i.e.. Body of uterus "Implantation occurs in the endometrium of anterior or posterior wall of body of uterus near the fundus on the 6th day which corresponds to the 20th day of a regular menstrual cycle."